Most common malignant parotid tumour is
1. Oncocytoma
2. Warthins tumour
3. Adenoid cystic carcinoma
4. Mucoepidermoid carcinoma

Correct answer: 4. Mucoepidermoid carcinoma

Explanation: Among primary parotid malignant tumors, mucoepidermoid carcinoma is the most common, followed by adenocystic carcinoma. Reference : Bailey & love, 27th Edition, page no = 789.